In a newborn baby what is compression ventilation ratio:
1. 30:02:00
2. 60:02:00
3. 3:01
4. 100:01:00

Correct answer: 3. 3:01

Explanation: Newborn : C:V - 3:1 Pediatric - C:V - 30:2 During cardiopulmonary resuscitation ofinfants and children, the ratio of chest compression to rescue breaths is 30:2 for a single rescuer and 15:2 if 2 or more rescuers are present.In adults, the ratio is 30:2 irrespective of the number of rescuers. In infants and children, the depth of compression should be at least one-third of the anteroposterior diameter of the chest which is about 5 cm in children and 4 cm in infants. The compression rate should be 100-120/minute. Allow complete chest recoil after each compression. Minimize interruptions in compressions (10 seconds or less). Rotate compressor every 2 minutes or earlier if fatigued. Avoid excessive ventilation. GHAI Paediatrics : NEWBORN : It is important to ventilate between chest compressions. A positive breath should follow every third chest compression. In one minute, 90 chest compressions and 30 breaths are administered (a total of 120 events). To obtain the proper ratio of 90 compressions and 30 ventilations in 1 minute (3:1), chest should be compressed three times in 1lh seconds, leaving out approximately 1h second for ventilation.